LEOPARD syndrome does not include -
1. Growth retardation
2. ECG abnormalities
3. Pulmonary stenosis
4. Atrial myxoma

Correct answer: 4. Atrial myxoma

Explanation: Ans. is D, i.e., Atrial myxoma LEOPARD SYNDROME - Autosomal dominant.L-Lentiges, multiple, small pigmented maculeE-ECG abnormalitiesO-Ocular hypertelorismP-Pulmonary stenosisA-Abnormal genitalia (Cryptorchidism, Hypogonadism, Hypospadias)R-Growth retardationD-Deafness (sensory neural hearing loss)LAMB SYNDROMEL-LentigesA-Atrial myxomaM-Mucocutaneous myxomaB-Blue nevi